Enamel like superstructure is seen in which CNS lesion
1. Craniopharyngioma
2. Pituatory tumor
3. Astrocytoma
4. Glioma

Correct answer: 1. Craniopharyngioma

Explanation: Craniopharyngioma is a rare type of noncancerous (benign) brain tumor. Craniopharyngioma begins near the brain's pituitary gland, which secretes hormones that control many body functions. Refer Robbins page no 1082